. Antimitochondrial antibodies are seen in
1. Primary biliary cirrhosis
2. Secondary biliary cirrhosis
3. Neonatal hepatitis
4. Neonatal cholestasis

Correct answer: 1. Primary biliary cirrhosis

Explanation: circulating anti-mitochondrial antibody of IgG class detected in more than 90% cases of primary biliary cirrhosis TEXTBOOK OF PATHOLOGY 6TH EDITION HARSH MOHAN PAGE NO:625